All are TRUE statements about talipes equinovarus, EXCEPT:
1. Inversion of the foot
2. Adduction of the forefoot
3. Arthrogryposis multiplex congenita causes it
4. Treatment should start after 3 months

Correct answer: 4. Treatment should start after 3 months

Explanation: In congenital clubfoot or talipes equinovarus, there is more or less rigid inversion of the hind foot, adduction of the forefoot, and limited dorsiflexion- an equ deformity. Initial treatment is always nonoperative and should be started as soon as possible, probably the day baby is born. Also know: Arthrogryposis multiplex congenita is a congenital condition characterized by multiple soft tissue contracture leading to various deformities occurring at various joints of upper and lower limbs including CTEV, but mostly several deformities coexists, it is a much rarer condition than idiopathic CTEV deformity. Ref: CSDT 11/e, Page 1195-96 ; Maheshwari 3/e, Page 193-97